Linitis plastica is ?
1. Disease resembling lichen planus
2. Benign lesion of the stomach
3. Diffuse gastric carcinoma
4. Inflammation of stomach resembling acute gastritis

Correct answer: 3. Diffuse gastric carcinoma

Explanation: Linitis plastica is a diffuse type of gastric carcinoma which is characterised by thickening and rigidity of the stomach wall, giving leather bottle appearance.